Lens antigen are?
1. Neoantigen
2. Sequestrated antigen
3. Altered antigen
4. Cross reacting antigen

Correct answer: 2. Sequestrated antigen

Explanation: ANSWER: (B) Sequestrated antigenREF: Ananthanarayan & Paniker 7th ed page 171, Textbook Of Medical Physiology ByKhurana 2009 ed page 207Hidden antigen or sequestrated antigen:Certain self antigens are present in the close system and never exposed to the immune system during fetal life. These are known as hidden antigen or sequestrated antigens. E.g.Sperm antigen, Lens proteins being enclosed in capsule